Most common biochemical abnormality in congenital pyloric stenosis.
1. Hyperkalemic metabolic acidosis
2. Hypokalemic metabolic acidosis
3. Hyperkalemic metabolic alkalosis
4. Hypokalemic metabolic alkalosis

Correct answer: 4. Hypokalemic metabolic alkalosis

Explanation: Ans. is 'd' i.e. Hypokalemic metabolic alkalosis Repeated vomiting leads to hypochloremic, hypokalemic metabolic alkalosis. The urine is alkaline initially but eventually it becomes acidic (paradoxical aciduria)